Which of the following is not true about SCFE (Slipped capital femoral epiphysis)?
1. Males are affected more frequently
2. Extension is restricted
3. Commonly occurs during adolescence
4. Varus, adduction and external rotation deformities are present

Correct answer: 2. Extension is restricted

Explanation: SCFE Males are more commonly affected Commonly occurs during adolescence- presents with pain, antalgic limp, with the affected side held in a position of increased external rotation A classical sign is tendency of thigh to rotate in to progressively more external rotation, as the affected hip is flexed called as Axis deviation. Cause - Endocrinopathies(Hypothyroidism) and Growth spurt IOC - MRI